What is the force generated by lip musculature on the upper incisor teeth at rest?
1. 15-20 g/square cm
2. 20-25 g/square cm
3. 10-15 g/square cm
4. 30-35 g/square cm

Correct answer: 2. 20-25 g/square cm

Explanation: The forces generated by lip musculature on the upper incisor teeth at rest is 20-25 g/square cm.